The antiepileptic drug which does not produce enzyme induction is -
1. Phenobarbitone
2. Sodium valproate
3. Phenytoin
4. Primidone

Correct answer: 2. Sodium valproate

Explanation: Ans. is 'b' i.e., Sodium valproate o Most of the anticonvulsants are enzyme inducers except valproate which is an inhibitor. Note : Valprate is an enzyme inhibitor overall but it induces metabolism of carbamazepine: "Valproate and carbamazepine induce each other;s metabolism"